Partogram help in the detection of -
1. PPH
2. Abruption placetae
3. Obstracted labour
4. Incordinate uterine action

Correct answer: 3. Obstracted labour